The hypersensitivity reaction involved in the hyperacute rejection of renal transplant is:
1. Type I
2. Type II
3. Type III
4. Type IV

Correct answer: 2. Type II

Explanation: Types of graft rejection Type Onset Mechanism Type of Hypersensitivity Hyperacute Immediate Preformed antibodies directed against donor tissue II Acute Days to weeks Mediated by T cells and antibodies that are activated by alloantigens in the graft IV Chronic Months to years T cells that react against graft alloantigens and secrete cytokines, alloantibodies also contribute to chronic rejection. III & IV